Individual response is changed as a result of reinforcement or extinction of previous responses. Hence, a satisfactory outcome will diminish in frequency, this is known as:
1. Operant conditioning.
2. Classical conditioning.
3. Social learning theory.
4. Hierarchy of needs.

Correct answer: 1. Operant conditioning.